Painful lymphadenopathy is seen in:
1. Donovanosis
2. Syphilis
3. Chancroid
4. All

Correct answer: 3. Chancroid

Explanation: C i.e. Chancroid